Unmet need for contraception in a 35 year old female is for:-
1. Spacing birth
2. Limiting birth
3. Improve maternal health
4. Improve family health

Correct answer: 2. Limiting birth

Explanation: UNMET need of family planning percentage of women of reproductive age, either married or in a union, who have an unmet need for family planning - Women with unmet need are those who want to stop or delay childbearing but are not using any method of contraception Unmet need in India:- - Unmet need in 15-24 years old woman: Spacing the births - Unmet need in >30 years old women: Limiting the births.